Drug used in mild hemophilia is -
1. Corticosteroids
2. DDAVP
3. Vitamin K
4. Tranexamic acid

Correct answer: 2. DDAVP

Explanation: Ans. is 'b' i.e., DDAVP o DDAVP is trade name for ADH preparation. o It acts on V2 receptors to cause increased release of factor VIII and vWF from the endothelium. So, it can be used for the treatment of mild hemophilia.